Flea bitten appearance of the kidney is seen in ?
1. Malignant hypertension
2. Benign hypertension
3. Chronic pyelonephritis
4. Diabetes mellitus

Correct answer: 1. Malignant hypertension

Explanation: Ans. is 'a' i.e., Malignant hypertension